Reticulocyte level in newborn is?
1. 0.2-1.5%
2. 1-1.6%
3. 2.5-6%
4. 6-10.2%

Correct answer: 3. 2.5-6%

Explanation: Ans. is 'c' i.e., 2.5-6% o Reticulocyte count is the percentage of reticulocytes in total red blood cells. Number of reticulocytes Reticulocyte count --____________________________ x 100 Total number of RBCs o The reticulocyte count serves as an important tool to indicate shortened RBC survival and the subsequent appropriate response by the bone marrow to increase RBC production. o Reticulocytes are young RBCs that have just left the marrow but still contain residual RNA. o Normally, they remain for only 1 to 1.5 days in the blood. o Normal reticulocytes count in an adult is 0.5% to 2%. o In normal newborn range is 1.8% to 5.8%.